Fluoride safe dose is
1. 8-16 mg F/kg body weight
2. 16-32 mg F/kg body weight
3. 30-64 mg F/kg body weight
4. 12-30 mg F/kg body weight

Correct answer: 1. 8-16 mg F/kg body weight